True about hydatidiform mole is-
1. Vesicle fluid is rich in hCG
2. It is principally a disease of amnion
3. Highest incidence in India
4. Embryo is present

Correct answer: 1. Vesicle fluid is rich in hCG

Explanation: Ans. is 'a' i.e., Vesicle fluid is rich in hCG Hydatidiform moleo It is also called vesicular mole.o It is the abnormal condition of the placenta where there are partly degenerative and partly proliferative changes in the young chorionic villi. It is a benign neoplasia of the chorion with malignant potentialo The highest incidence is in Philippines 1 in 80 while in India it is l in 400.o Death of the ovum and failure of the embry'o to grow is essential to develop complete hydatidiform mole, thus there is no trace of embryo or amniotic sac.o The secretions from the hyperplastic cells and transferred substances from the maternal blood accumulate in the stroma of the villiwhich are devoid of blood vessels resulting information of small vesicles.o Vesicle fluid is rich in hCG